Which is true for Type B Autoclave?
1. Which has vacuum cycle for drying
2. Which has gravity displacement for drying
3. Which has unsaturated chemical vapour for sterilization
4. Which use dry heat as a sterilization source

Correct answer: 1. Which has vacuum cycle for drying